Drugs that do not increase QT interval:
1. Amiodarone
2. Quinidine
3. Digitalis
4. Amitryptyline

Correct answer: 3. Digitalis

Explanation: Ans: C (Digitalis) "Digitalis cause shortening of QT interval"- KDT 6th/495Drugs that Prolong Q-T intervalAntiarrhythmicsQuinidineQ, procainamideQ, disopyramide. propafenone, AmiodaroneQ, SotalolAntimicrobialQuinine, mefloquine, artemisinin, halofan- trine, sparfloxacin, gatifloxacinAntihistaminicTerfenadineQ, astemizole, ebastineAntidepressantsAmitryptyline & other tricyclicsAntipsych oticsThioidazine, risperidoneProkineticsCisaprideQ